During pregnancy, GFR
1. Increases
2. Decreases
3. Remains Unchanged
4. Increases only in multiple gestations

Correct answer: 1. Increases

Explanation: GFR increases by 50% as filtering capacity of kidney increases due to - a) Decrease oncotic pressure due to hemodilution b) Increased renal blood flow by 80% in 2nd trimester and 50% in 3rd trimester.